Content of superficial perineal pouch -
1. Sphincter urethrae
2. Deep transverse perinei\
3. Bulbospongiosus
4. Artery of penis

Correct answer: 3. Bulbospongiosus

Explanation: Ans. is 'c' i.e., Bulbospongiosus FeaturesSuperficial perineal spaceDeep perineal spaceSituationSuperficial to perineal membraneDeep to perineal membraneBoundaries a) Superficialb) Deepc) Laterald) Posteriorlye) AnteriorlyColles' fasciaPerineal membraneIschiopubicramiClosed by union of the perineal membrane with Colles fasciaOpen and continuous with the spaces of scortum, penis and anterior abdominal wallPerineal membraneSuperior fascia of urogenital diaphragmIschiopubic ramiClosed by the union of perineal membrane with superior fascia of the urogenital diaphragmClosed by the union of perineal membrane with superior fascia of the urogenital diaphragm at transverse perineal ligament.Contents1. Root of penis, made up of tw o crura and one bulb1. Membranous urethra 2. Muscles :a) Ischiocavernosusb) Bulbospongiosusc) Superficial transverse perinei2. Muscles :a) Sphincter urethraeb) Deep transverse perinei 3. Nerves :a) Three sets of branches from the perineal nerve--posterior scrotal, nerve to the bulb and muscular branches.b) Long perineal nerve from the posterior cutaneous nerve of thigh.3. Nerves:a) Dorsal nerve of the penisb) Muscular branches from the perineal nerve. 4. Vessels :a) Branches of perineal arteryy Posterior scrotaly transverse perinealb) Branches from the artery of penis :y Artery to the bulby The urethral arteryy The deep artery of the penisy dorsal artery of the penis4. Vessels :a) Artery of the penisb) Stems of origin of four arteries from the artery of penis passing to the superficial perineal space. 5. Glands and ducts :y Greater vestibular glands in femalesy Ducts of bulbo-urethral glands in males5. Glands:# Bulbourethral glands in males